In optic atrophy, the optic disc is appears to pale is index of
1. Atrophy of the nerve fibre
2. Loss of vasculature
3. Gliosis
4. All of the above

Correct answer: 2. Loss of vasculature

Explanation: (Loss of vasculature) (302-Khurana 4th)OPTIC ATROPHY* Ophthalmic features of optic atrophy is generally are pallor of the disc and decrease in the number of small blood vessels (Kastenbaum index)* The pallor is not due to atrophy of the nerve fibres but to loss of vasculature